The tip of the nose is supplied by -
1. Maxillary N.
2. Mandibular N.
3. Ophthalmic N.
4. Facial N.

Correct answer: 3. Ophthalmic N.

Explanation: Tip of nose and lower part of dorsum of nose are supplied by external nasal branch of ophthalmic division of trigeminal nerve.